Most common cause of UTI in young female is ?
1. Staph saprophyticus
2. E.coli Klebsiella
3. Klebsiella
4. Proteus

Correct answer: 2. E.coli Klebsiella

Explanation: Ans. is 'b' i.e., E.coli . E.coli causes 80-90% of acute uncomplicated bacterial lower tract infections (cystitis) in young women.